Bleeding disorders with T APTT and 1st PT:
1. Factor 13 deficiency
2. Severe liver disease
3. Immune thrombocytopenic purpura
4. All

Correct answer: 2. Severe liver disease

Explanation: Ans. is 'b' i.e., Severe liver disease o Prothrombin time assesses factor V, VII, X & II ; all of which are synthesized in liver. o PTT assess measures activity of factor V, VIII, IX, X, XI, XII & II some of which (II, VIII, VII, X, V) are synthesized in liver. So, in liver diseases both aPTT as well as PT are increased. In immune thrombocytopenia, there is increased BT due to platelet defect.